Glycine provides all in purine synthesis, except ?
1. Carbon - 4
2. Carbon - 5
3. Nitrogen - 4
4. Nitrogen - 7

Correct answer: 3. Nitrogen - 4

Explanation: Ans. is 'c' i.e., Nitrogen - 4 In de novo synthesis, purine ring is formed from variety of precursors is assembled on ribose-5-phosphate. Precursors for de novo synthesis are ?Glycine provides C4, Cs and N7Aspartate provides NIGlutamine provides N3 and N9Tetrahydrofolate derivatives furnish C2 and CsCarbon dioxide provides C6